Gower sign is classical of one of the following condition -
1. Congenital myopathy
2. Werdig-Hoffman disease
3. Duchenne muscular dystrophy
4. Guillain-Barre syndrome

Correct answer: 3. Duchenne muscular dystrophy

Explanation: Ans. is 'c' i.e., Duchenne muscular dystrophy